"Row of tomb stones" appearance is a feature of -
1. Pemphigus
2. Pemphigoid
3. Irritant dermatitis
4. Herpes

Correct answer: 1. Pemphigus

Explanation: Ans. is 'a' i.e., Pemphigus o Repeat from previous sessions.